The recommended daily energy intake an adult woman with heavy work is which of the following?
1. 1800
2. 2100
3. 2300
4. 2900

Correct answer: 4. 2900

Explanation: Energy allowance per day for females involved in heavy work is 2925 kcal/day. Nature of work Males (kcal/day) Females (kcal/ day) Light work 2425 1875 Moderate work 2875 2225 Heavy work 3800 2925